Impaired glucose tolerance on an oral GTT is indicated by:
1. Fasting plasma sugar > 126 mg/d1
2. Random blood sugar > 200mg/d1
3. Fasting blood sugar < 90 mg/d1
4. 2 hrs after glucose load 140-200 mg/dl; fasting blood sugar < 126 mg/dl

Correct answer: 4. 2 hrs after glucose load 140-200 mg/dl; fasting blood sugar < 126 mg/dl

Explanation: Answer is D (2 hrs after glucose load 140-200 mg/d1; fasting blood sugar < 126 mg/d1): Impaired glucose tolerance is indicated by a fasting glood glucose < 126 g/dl and plasma glucose levels between 140 and 200, 2 hours after a 75g oral glucose load. Definition Fasting Plasma Glucose (FPG) Plasma Glucose 2 hours after 75g oral glucose mmo1/1 mg/di mmo1/1 mg/dl Normal Glucose Tolerance < 5.6 < 100 <7.8 <140 Impaired Glucose Tolerance 5.6 to 6.9 100-125 (<126) 7.8 - 11.1 140-199 Diabetes Mellitus > 7 126 > 11.1 >200